Wilm's Tumour is associated with all. Except -
1. Hemihypertrophy
2. Beckwith syndrome
3. Aniridia
4. Polycystic kidney

Correct answer: 4. Polycystic kidney

Explanation: Ans. is 'd' Polycystic kidney disease (Ref O.P. Ghai, 5/e, p 466; CPDT, 15/e, p 808, Nelson 17/e, 617, 1749 1750,1757)Important associated malformations: syndromes associated with wilm's tumor.Aniridia*Hemihypertrophy*GenitourinaryCryptorchidism*Hypospadias*Gonadal dysgenesis*Pseudohermaphroditism *Horseshoe kidney *Beckwith Wiedemann syndrome*Dr ash syndromeWAGR syndrome*Wilms tumourAniridiaAmbiguous genitaliaMental retardation